Laser iridotomy is done for:
1. POAG
2. PACG
3. Congenital gaucoma
4. Secondary angle closure glaucoma

Correct answer: 2. PACG

Explanation: Ans. B i.e. PACG